Propofol infusion syndrome all Except
1. Occurs with infusion of propofol for 48 hours or longer
2. Occurs in critically ill patients
3. Features are nausea and vomiting
4. Features are cardiomyopathy, hepatomegaly

Correct answer: 3. Features are nausea and vomiting

Explanation: Propofol infusion syndromeA lethal syndrome, associated with infusion of propofol for 48 hours or longerOccurs in children and critically illOccurs as a result of failure of free fatty acid metabolism and failure of the mitochondrial respiratory chain.Features are-cardiomyopathy with acute cardiac failure, metabolic acidosis, skeletal myopathy, hyperkalemia, hepatomegaly and lipemia.(Refer: stoelting's pharmacology and physiology in anaesthetic practice, 5th edition, pg no.160-168)